Subacute sclerosing panencephalitis is a complication of:
1. Measles
2. Mumps
3. Rubella
4. Varicella

Correct answer: 1. Measles

Explanation: Ans: a (Measles) Ref: Nelson, 18th ed, p, 1334; 17th ed, p. 1030-1031SSPE is a complication of measlesSubacute sclerosing panencephalitis (Dawson encephalitis)=>Is a chronic encephalitis caused by persistant measles viius infection of the central nervous system=> SSPE primarily affects children and young adolescents. In more than 85% cases, onset occurs from 5 to 15 years of age=> Infections with measles at younger than 18 months of age seems to increase the risk of SSPE substantially=> Risk among boys is more than twice that among girls.=> Children with SSPE generally have a history of typical measles, which may have been either mild or severe with full recovery several years before the onset of neurological disease=> The onset of SSPE is usually insidious and marked by subtle changes in behaviour and deterioration of schoolwork.=> The appearance of massive repetitive myoclonic jerks, generally symmetnc. involving especially the axial musculature and occurring at 5-10 sec interval marks the onset of the second clinical stage of SSPE.Diagnosis* Cell content of CSF is generally normal.* Total protein content of the CSF is normal. However the gamma globulin fraction is greatly elevated, resulting in paretic type of colloidal gold curve.* When CSF is examined by electrophoresis or isoelectric focusing.oligoclonal bands of Ig are often observed. IgG and IgM antibodies to measles viius not normally found in unconcentrated CSF make up most of the Ig and these can be often detected in dilutions of 1:8* Most important measure to prevent SSPE is measles vaccination.